Mycosis fungoides is:
1. Fungal infections of skin
2. Leukemia
3. Exfoliative erythroderma
4. Cutaneous lymphoma

Correct answer: 4. Cutaneous lymphoma

Explanation: Mycosis fungoides is a T cell lymphoma affecting skin which can evolve into generalized lymphoma. Histological hallmark: Sezary Lutzner cells which are helper T cells forming band like aggregates in superficial dermis and have cerebriform contourQ. May invade epidermis as single cells and small clusters called as Pautrier microabscessesQ